Low fusing metal alloys was introduced by
1. Claude Mouton
2. Jean Darcet
3. Pierre Fauchard
4. Nicholas Chamant

Correct answer: 2. Jean Darcet